Issuing false medical certificates is punishable under
1. Sec 191 IPC
2. Sec 197 IPC
3. Sec 51 IPC
4. Sec 304 AIPC

Correct answer: 2. Sec 197 IPC

Explanation: Issuing false medical certificates is punishable for 7 years imprisonment under Sec 197 IPC.